Which plasma protein is necessary for adhesion of platelets to subendothelialfibres?
1. Glycoprotein IIb
2. Von Willebrand factor
3. Platelet factor 3
4. Factor X

Correct answer: 2. Von Willebrand factor

Explanation: Ans. (b) Von Willebrand factor(Ref: Robbins 9th/pg 661)Von Willebrand factor is necessary for adhesion of platelets to subendothelial fibres.